Rabies in not found in
1. Lakshadweep Islands
2. Rajasthan
3. Meghalaya
4. Orrisa

Correct answer: 1. Lakshadweep Islands